Pancreatic juice rich in water and electrolytes poor in enzymes is secreted in response to :
1. Pancreatozymin
2. Cholecystokinin
3. Secretin
4. Proteins

Correct answer: 3. Secretin

Explanation: C i.e. Secretin